80 year old, asymptomatic man present with a total leucocyte count of I lakh, with 80% lymphocytes and 20% PMC's. What is the most probable diagnosis?
1. HIV
2. CML
3. CLL
4. IMN

Correct answer: 3. CLL

Explanation: Chronic lymphocytic leukemia occurs more commonly in middle & older age groups(over 50 years of age).Clinical features include anemia,enlargement of superficial lymph nodes,splenomegaly & hepatomegaly,hemorrhagic manifestations,susceptibility to infections . Blood picture shows marked leukocytosis(50,000-2,00,000/microlitre). Usually ,more than 90% of leukocytes are mature small lymphocytes. Reference:Harsh mohan textbook of pathology sixth edition pg no 375